Amyloid is found in -
1. Medullary carcinoma thyroid
2. ALL
3. Cirrhosis
4. Budd chiari syndrome

Correct answer: 1. Medullary carcinoma thyroid

Explanation: Ans. is 'a' i.e., Medullary carcinoma thyroid